A child after consuming food in a party complains of diarrhea within 1-5 hours. The diagnosis is -
1. S. aureus
2. Streptococcus
3. Clostridium perfringens
4. Clostridium botulinum

Correct answer: 1. S. aureus

Explanation: Staphylococcal food poisoning occurs within 2-6 hrs after consuming contaminated food containing the preformed toxin.
The only other cause of food poisoning presenting within 4-6 hrs is Bacillus cereus.